Drug causing maximum peripheral neuropathy is :
1. Zidovudine
2. Lamivudine
3. Stavudine
4. Didanosine

Correct answer: 3. Stavudine